Heavy chain of IgA is ?
1. Gamma
2. Mu
3. Delta
4. Alpha

Correct answer: 4. Alpha

Explanation: Ans. is 'd' i.e., Alpha Ig G y (gamma)Ig Aa (alpha)IgM 1.1 (mu)Ig D(delta)Ig E e (epsilon)